Pterygomaxillary seal is:
1. Part of the PPS that extends across the hamular notch.
2. It extends 3-4 mm anterolaterally.
3. Both 1 and 2.
4. It extends between the two maxillary tuberosities.

Correct answer: 3. Both 1 and 2.

Explanation: PPS area can be divided into 2 regions:

Pterygomaxillary seal is the part of the PPS, that extends across the hamular notch and it extends 3-4mm anterolaterally to end in the mucogingival junction on the posterior part of the maxillary ridge.
Posterior palatal seal is the part of the PPS, that extends between the two maxillary tuberosities.